40 years male with spherophakia is at risk for developing
1. Phacolytic glaucoma
2. Phacoanaphylactic glaucoma
3. Phacomorphic glaucoma
4. Obscuration of disc margins

Correct answer: 3. Phacomorphic glaucoma

Explanation: (Refer: AK Khurana Comprehensive Ophthalmology, 6th edition, pg no. 248) Phacomorphic glaucoma is an acute secondary angle-closure glaucoma caused by:Intumescent lens i.e., swollen cataractous lens due to rapid maturation of cataract or sometimes following traumatic rupture of the capsule is the main cause of phacomorphic glaucomaAnterior subluxation or dislocation of the lensSpherophakia (congenital small spherical lens) Phacomorphic glaucoma is the term used for secondary angle-closure glaucoma due to lens intumescence. The increase in lens thickness from an advanced cataract, a rapidly intumescent lens, or a traumatic cataract can lead to pupillary block and angle closure.